Jumping genes are also known as
1. Plasmids
2. Oncogenes
3. Transposons
4. Introns

Correct answer: 3. Transposons

Explanation: Transposons are called as Jumping genes as they can jump from one chromosome locus to another.